Mastitis in infants ?
1. Treated with antibiotics
2. More common in boys
3. It is a congenital infection
4. Most common organism is E Coli

Correct answer: 1. Treated with antibiotics

Explanation: Ans. is 'a' i.e., Treated with antibioticsMastitis (infection of breast tissue) typically occurs in infants after 2 months of age. During the first 2 weeks of life, it occurs with equal frequency in males and females; thereafter, it is more common in girls, with a female:male ratio of approximately 2:1.The majority of cases of neonatal mastitis are caused by Staphylococcus aureus; less common causes include gram-negative enteric organisms (e.g. Escherichia coli, Salmonella), anaerobes, and Group B Streptococcus